Brown tumor of bone is seen in
1. Hyperparathyroidism
2. Hypoparathyroidism
3. Hypo-thyroidism
4. Hyperthyroidism

Correct answer: 1. Hyperparathyroidism

Explanation: Primary hyperparathyroidism traditionally has been associated with a constellation of symptoms that included painful bones. Brown tumors are lesions that arises in settings of excess osteoclast activity. It is not a true neoplasm.It most commonly affects the maxilla and mandible, though any bone may be affected. Brown tumours are radiolucent on x-ray. Robbins basic pathology 9th edition page no 737,Yellow box (morphology) Brown tumors of hyperparathyroidism.